Epiglottis is derived from ?
1. 3rdeg arch
2. 4th arch
3. 5th arch
4. 6th arch

Correct answer: 2. 4th arch

Explanation: Ans. is 'b' i.e., 4th archAll cartilages of larynx (except arytenoid) are derived from 4th arch - epiglottis, cricoid, thyroid, corniculate and conciform.Arytenoid is derived from 6" arch.See explanation-8 of session-1.NoteDevelopment of laryngeal cartilages is controversial. According to some textbooks, all laryngeal cartilages are derived from 4th arch, except arytenoids, which is developed from 6th arch. But some other textbooks say that thyroid, epiglottis and cuneiform are derived from 4th arch whereas corniculate, arytenoid and cricoid are derived from 6" arch.However, there is no confusion about following facts :?All cartilages of larynx are developed from 4th and 6" arch.Epiglottis, thyroid and cuneiform are derived from 4" arch.